Nesidioblastoma is due to hyperplasia of?
1. Alpha cell
2. Beta cell
3. Acinus
4. D cells

Correct answer: 2. Beta cell

Explanation: Ans. is 'b' i.e., Beta cell Nesidioblastoma is due to hyperplasia of B cell of panceatic islets.